Cayenne pepper stippling due to hemosiderin is found in:-
1. Erythroplasia of Queyrat
2. Paget's disease
3. Plasma cell balanitis of zoon
4. Bowen's disease

Correct answer: 3. Plasma cell balanitis of zoon

Explanation: Cayenne pepper stippling d/t hemosiderin seen in uncircumcised patient in Plasma cell balanitis of zoon/ zoon balanitis C/F - Erythematous, shiny lesions- Over glans penis- Asymptomatic lesion- Mild pruritus- Shows cayenne pepper strippling Cayenne pepper stippling appearance is d/t purpose develops pruritic spot d/t hemosiderin deposition. Erythroplasia of Queyrat- premalignant condition